The word amalgam refers to a combination of any alloy or metal with
1. Gold
2. Mercury
3. Silver
4. Tin

Correct answer: 2. Mercury